Amenorrhoea due to high LH and FSH is due to
1. Asherman's syndrome
2. Pituitary adenoma
3. Ovarian failure
4. All

Correct answer: 3. Ovarian failure

Explanation: Ovarian dysfunction:Group I- Hypothalamic -pituitary failure, e.g anorexia nervosa, Kallman's syndrome, Sheehan's syndromeGroup II- Ovarian failure, e.g. Turner syndrome pure gonadal dysgenesis, Swyer syndrome, autoimmune disorders infection, radiotherapy or chemotherapy.Group III- Congenital or acquired genital tract disordersGroup V - Hyperprolactinaemia with aspace occupying lesion (SOL) in the hypothalamic-pituitary region, e.g. pituitary adenoma.Group VI - Amenorrhoea with a SOL in the hypothalamic-pituitary region with normal or low PRL, e.g craniopharyngioma.Group VII - Hypothalamic-pituitary failure, e.g polycystic ovarian syndrome (PCOS) congenital adrenal hyperplasia (CAH), adrenal tumours, androgen-producing ovarian tumours.